Of the following vasculitides, coronary artery aneurysms are most often in
1. Kawasaki disease
2. Giant-cell arteritis
3. Wegener's granulomatosis
4. Leucocytoclastic vasculitis

Correct answer: 1. Kawasaki disease